Chorionic villous sampling done before 10 weeks may result in :
1. Fetal loss
2. Fetomaternal hemorrhage
3. Oromandibular limb defects
4. Sufficient material not obtained

Correct answer: 3. Oromandibular limb defects

Explanation: Ans. is c i.e. Oromandibular limb defects "Chorionic villous sampling is usually performed at 10-13 weeks and is associated with several complications but studies suggests that limb reduction and oromandibular limb hypogenesis is more common if CVS is done before 9 weeks. So, CVS is done after 9 weeks because it is more safe." "The frequency of oromandibular limb hypogenesis, however was increased after CVS, when the procedure was performed before 9 weeks." "It was shown that limb reduction defects were associated with CVS performed earlier in gestation--typically around 7 weeks."